Tribadism means
1. Sexual relationship between two female
2. Sexual relationship between female and animal
3. Sexual relationship between two males
4. Anal intercourse male with female

Correct answer: 1. Sexual relationship between two female

Explanation: Tribadism or Tribbing Is female-to-female genital sex. Two women rub their vulvae together to stimulate each other's clitoris to orgasm. Female homosexuality is known as tribadism or lesbianism. Sexual perversions are: Exhibitionism: Recurrent urge or behavior to expose one's genitals to an unsuspecting person. Fetishism: Use of non-sexual or non living objects or part of a person's body to gain sexual excitement. Partialism refers to fetishes specifically involving nonsexual parts of the body. Frotteurism: Recurrent urge or behavior of touching or rubbing against a nonconsenting person. Masochism: Recurrent urge or behavior of wanting to be humiliated, beaten, bound, or otherwise made to suffer. Pedophilia: Sexual attraction to prepubescent children. Sadism: Recurrent urge or behavior involving acts in which the pain or humiliation of the victim is sexually exciting. Transvestic fetishism: A sexual attraction towards the clothing of the opposite gender. Voyeurism: Recurrent urge or behavior to observe an unsuspecting person who is naked, disrobing or engaging in sexual activities. Other options: Sexual intercourse by a human being with a lower animal is called Bestiality. Sexual intercourse between two males is male homosexuality. Anal intercourse between two men or between a male and female.